Thyrotoxicosis patients with least radio iodide uptake seen in:
1. Toxic adenoma
2. Grave's disease
3. MNG
4. Sub - acute thyroiditis

Correct answer: 4. Sub - acute thyroiditis

Explanation: Sub-acute thyroiditis or de Quervain thyroiditis is an uncommon condition, yet is considered the most common cause of painful thyroiditis. Disease is thought to have a viral origin, Has the least radioactive iodine uptake. RAIU in other diseases: